To prevent KFD which of the following is not used ?
1. Self protection against ticks
2. Vaccination
3. Deforestation
4. Control of cattle roaming in the forest

Correct answer: 3. Deforestation

Explanation: Ans. is 'c' i.e., Deforestation o Since KFD is tick born disease, so the central measures are directed towards control of ticks in forest (not by deforestation) by carabaryl, propoxur spraying in HOT SPOTS area (It is the area about 50m around the place where monkey death have been reported).